Confounding can be eliminated by all except:
1. Matching
2. Randomization
3. Blinding
4. Multivariate analysis

Correct answer: 3. Blinding